Avidin influences which of the following vitamins?
1. Biotin
2. Niacin
3. Thiamine
4. Phylloquinone

Correct answer: 1. Biotin